A patient presented with headache and episodes of hypertension. In between the episodes he was found to be normal. His urinary VMA levels were found to be raised. The diagnosis is
1. Carcinoid syndrome
2. Pheochromocytoma
3. Small cell carcinoma
4. Addison's disease

Correct answer: 2. Pheochromocytoma

Explanation: (B) Pheochromocytoma # Clinical features of Phaeochromocytoma: MC symptoms, in order of frequency, are: Headache palpitation, sweating (seen in >50%), vomiting, weakness & pallor (20-40% of patients) i.e. symptoms of adrenal overdosage. Dyspnoea. weight loss, flushing (<20% patients) Paroxysmal attack may vary from a few minutes to some hours. BP may be very high & hypercalcaemia present